Post coital test detects all of the following except:
1. Fallopian tube block
2. Cervical factor abnormality
3. Sperm count
4. Sperm abnormality

Correct answer: 1. Fallopian tube block